A post-Thyroidectomy patient develops signs and symptoms of Tetany. The management is -
1. i.v Calcium gluconate
2. Bicarbonate
3. Calcitonin
4. Vitamin D

Correct answer: 1. i.v Calcium gluconate